A chest physician observed that the distribution of forced expiratory volume (FEV) in 300 smokers had a median value of 2.5 litres with the first and third quartiles being 1.5 and 4.5 litres respectively. Based on this data, how many persons in the sample are expected to have a FEV between 1.5 and 4.5 litres?
1. 7.5
2. 150
3. 225
4. 300

Correct answer: 2. 150